Epley manoeuvre
1. Positional vertigo
2. Otosclerosis
3. ASOM
4. CSOM

Correct answer: 1. Positional vertigo

Explanation: This manoeuvre repositions the otoconial debris from the posterior semicircular canal back into utricle. (Ref: Diseases of EAR, NOSE AND THROAT by PL DHINGRA - 6th Edition)